Radiation protection shields are made up of –
1. Copper
2. Silver
3. Lead
4. Tin

Correct answer: 3. Lead

Explanation: Effective preventive measure for high risk group e.g., X-ray technician is to use lead shields and lead rubber aprons.